Which of the following is not seen in Von-gierke's disease?
1. Type lb has defective translocase
2. Patients may present with hypoglycemia and lactic acidosis in the neonatal period
3. Easy bruising and epistaxis can be seen
4. Hyperuricemia is not seen

Correct answer: 4. Hyperuricemia is not seen

Explanation: Ans. is 'd' i.e., Hyperuricemia is not seen Type I glycogen storage disease (glucose-6-phosphatase or translocase deficiency, von Gierke's disease)* Type I glycogen storage disease is an autosomal recessive disorder caused by glucose-6-phosphatase deficiency in liver, kidney, and intestinal mucosa.* There are two subtypes of GSDI: type la, in which the glucose-6-phosphatase enzyme is defective, and type Ib, in which the translocase that transports glucose-6-phosphate across the microsomal membrane is defective.* The defects in both subtypes lead to inadequate conversion in the liver of glucose-6- phosphate to glucose and thus make affected individuals susceptible to fasting hypoglycemia.Clinical and laboratory findings* Persons with type I disease may develop hypoglycemia and lactic acidosis during the neonatal period; however, more commonly, they exhibit hepatomegaly at 3-4 months of age.* These children usually have doll-like faces with fat cheeks, relatively thin extremities, short stature, and a protuberant abdomen that is due to massive hepatomegaly. The kidneys are enlarged, but the spleen and heart are of normal size. The hepatocytes are dis- tended by glycogen and fat with large and prominent lipid vacuoles. Despite hepatomegaly, liver enzymes are usually normal or near normal.* Easy bruising and epistaxis are associated with a prolonged bleeding time as a result of impaired platelet aggregation/adhesion.* Hyperuricemia is present.* Hyperlipidemia includes elevation of triglycerides, cholesterol, and phospholipids.* Type Ib patients have additional findings of neutropenia and impaired neutrophil function, resulting in recurrent bacterial infections and oral and intestinal mucosal ulceration.* GSD I patients may experience intermittent diarrhea, which can worsen with age. In GSD lb, it is largely due to loss of mucosal barrier function caused by inflammation.